Indication of fetal distress is:
1. Decrease in fetal scalp blood pH
2. Meconium staining
3. Late deceleration of heart rate
4. All of the above

Correct answer: 4. All of the above